Lugol's iodine is given to the patient:
1. Before surgery
2. After surgery
3. During surgery
4. Adjuvant therapy

Correct answer: 1. Before surgery